All are true about ischemia associated kidney injury, EXCEPT:
1. Healthy kidneys account for 10% of total oxygen consumption
2. Renal medulla is a most hypoxic region of the body
3. Ischemia associated with rhabdomyolysis is more dangerous
4. Healthy kidneys receive 30% of the cardiac output

Correct answer: 4. Healthy kidneys receive 30% of the cardiac output

Explanation: Healthy kidneys receive 20% of the cardiac output and 10% of resting oxygen consumption. despite constituting only 0.5% of the human body mass. The renal medulla is the site of one of the most hypoxic regions in the body. Ischemia alone in a normal kidney is usually not sufficient to cause severe AKI. Clinically, AKI more commonly develops when ischemia occurs in the context of limited renal reserve or coexisting insults such as sepsis, vasoactive or nephrotoxic drugs, rhabdomyolysis, and the systemic inflammatory states associated with burns and pancreatitis. Ref: Harrison-E-18, P-2295.